A 42 -year old man was referred with a 2-week history of fever weakness and bleeding gum. Peripheral smear showed pancytopenia. The bone marrow examination revealed 26% blasts frequently exhibiting Auer rods and mature myeloid cells. An occasional neutrophil with pseudo-Pelger-Huet anomaly was also noted: Which of the following cytochemical stains is most likely to be positive?
1. Acid phosphatase
2. Non specific esterase
3. Myeloperoxidase
4. Toluidine blue

Correct answer: 3. Myeloperoxidase